A patient presented with neck swelling. Cytology showed showed parafollicular cells along with clusters of plasmacytoid and few spindle shaped cells. What investigation should be done to follow up the patient?
1. Calcitonin
2. TSH level
3. Anti TPO antibody
4. TRH

Correct answer: 1. Calcitonin

Explanation: Ans. (a) CalcitoninCytology showed showed parafollicular cells along with clusters of plasmacytoid and few spindle shaped cells are suggestive of medullary ca thyroid and so should be followed up by its tumor marker calcitonin.